What is the definition of society -
1. System of social relationship between individuals
2. Social relationship between families
3. Interaction of individuals and people
4. Relationship of individual family and the country

Correct answer: 1. System of social relationship between individuals

Explanation: - society is an organisation of its member agents where each member has to conform to its norms. - important feature is a system of social relationship between its members. Reference : Park's textbook of preventive and social medicine, 23rd edition, pg no:671